All of the following are features of chronic tonsillitis except
1. Pus in crypts
2. Congestion of anterior pillar
3. Congestion of posterior pillar
4. Enlargement of jugulodigastric lymph nodes

Correct answer: 3. Congestion of posterior pillar

Explanation: Clinical features of chronic tonsillitis1 Recurrent attacks of sore throat or acute tonsillitis.2. Chronic irritation in throat with cough.3. Bad taste in mouth and foul breath (halitosis) due to pus in crypts.4. Thick speech, difficulty in swallowing and choking spells at night (when tonsils are large and obstructive).5 Flushing of anterior pillars compared to the rest of the pharyngeal mucosa is an important sign of chronic tonsillar infection.6. Enlargement of jugulodigastric lymph nodes is a reliable sign of chronic tonsillitisDhingra 6th edition pg: 263